Absolute contraindication of OC pill is :
1. Breast Ca
2. Mentally ill
3. Migraine
4. Fibroid

Correct answer: 1. Breast Ca

Explanation: Ans. is a i.e. Breast cancer